Generalized necrotizing lymphadenopathy is
1. Kimura disease
2. Kikuchi disease
3. Non hodgkins lymphoma
4. Castle mans disease

Correct answer: 2. Kikuchi disease